The principle application of zinc phosphate cement is:
1. In final cementation
2. As temporary cementation
3. As a temporary filling material
4. It has less occlusal wear

Correct answer: 1. In final cementation

Explanation: APPLICATIONS

Luting of restorations (inlays, crowns, fixed dental prostheses, etc).
High strength bases.
Temporary restorations.
Luting of orthodontic bands and brackets.

Ref: Manappalil Pg- 89